Kasabaach Merrit Syndrome is associated with:
1. Giant hemangiorna
2. Large aneurysm of aorta
3. Giant Thrombocytes
4. A-V malformation

Correct answer: 1. Giant hemangiorna

Explanation: Giant hemangioma Kasabach-Merritt syndrome : The combination of hemangioma, thrombocytopenia and coagulopathy is termed Kasabach Merritt syndrome. The primary abnormalities in these patients is hemangioma The hemangiomas seen in these lesions are quiet large and causes platelet consumption, activation of coagulation and microangiopaihic red cell destruction. The bleeding diathesis is mainly localized in the large hemangiomas ("sequestered"or localized intravascular coagulation but laboratory evidence of DIC in the general circulation is also definitely present). The severity and the incidence of DIC tends to parallel the size of vascular tumours but remember that thrombocytopenia and consumptive coagulopathy are not seen in all hemangiomas and size alone does not determine which hemangiomas are associated with thrombocytopenia and coagulopathies. Recurrent bleeding from the surface of the tumour is the major hemorrhagic manifestation. Periodic swelling of the lesion is often observed. This phenomenon may be a consequence of intermittent obstruction of blood outflow from the hemangioma. Treatment Surgical removal is the best treatment Interferon